Regarding hemostasis, true statement for nitric oxide is
1. Is a vasoconstrictor
2. Inhibits platelet activating factor-1
3. Inhibits Sinoatrial node
4. Inhibits platelet aggregation

Correct answer: 4. Inhibits platelet aggregation

Explanation: . Inhibits platelet aggregation